Post extraction bleeding in a leukaemic patient is due to:
1. Increase in leukocytes
2. Low calcium level
3. Platelet disorder
4. Deficiency of clotting factors

Correct answer: 3. Platelet disorder